A child is having nocturnal asthmatic attacks 2 times in a week and day time attacks 3 times or more. This child is categorized to be having
1. Mild persistent asthma
2. Mild intermittent asthma
3. Severe persistent asthma
4. Moderate persistent asthma

Correct answer: 4. Moderate persistent asthma

Explanation: .intermittent :<1 time a week ,asymptomatic,normal PEFR between attack,nocturnal attack less than or equal to 2 per month mild persistant :>1 time a week but less than 1 time a day,noctunal attack>2 /month moderate persistant :daily use beta 2 agonist, attack affect activity,nocturnal attack>1/week severe persistant :continuous, limited physical activity,nocturnal attack frequent Ref : ESSENTIAL PEDIATRICS,O.P.GHAI,PG NO:363, 7th edition